Anti-D Rh is given for:
1. Rh positive father,Rh positive mother
2. Rh negative father,Rh positive mother
3. Rh negative father,Rh negative mother
4. Rh positive father,Rh negative mother

Correct answer: 4. Rh positive father,Rh negative mother

Explanation: Ans. D: Rh positive father,Rh negative mother Rho(D) Immune Globulin is given by intramuscular injection that is used to prevent the immunological condition known as Rhesus disease (or hemolytic disease of newborn) particularly when father is Rh positive and mother is Rh negative. It is a solution of IgG anti-D (anti-RhD) antibodies that bind to, and lead to the destruction of, fetal Rh D positive red blood cells that have passed from the fetal circulation to the maternal circulation. Therefore, in a Rhesus negative mother it can prevent sensitization of the maternal immune system to Rh D antigens, which can cause rhesus disease in the current or in subsequent pregnancies